Common dose dependant side effects of Ethambutol is
1. Red-urine
2. Loss of visual acuity
3. Nephropathy
4. Peripheral neuropathy

Correct answer: 2. Loss of visual acuity

Explanation: (Loss of visual acuity) (701-KDT) (742-43-KDT 6th)ETHAMBUTOL - It is distributed widely but penetrates meninges incompletely and is temporarily stored in RBC's* * Loss of visual acuity/ colour vision, field defects due to optic neuritis is the most important dose and duration of therapy dependent toxicity.* It should not be used below 6 years of age.* * Hyperuricemia is due to interference with urate excretion.